A 7 year girl is brought to the OPD with complaints that the child develops recurrent staring spells lasting for few seconds followed by return to normal previous activities. Her EEG shows 3 per second spike and wave discharge. Which of the following drug is not indicated in reating this child?
1. Ethosuximide
2. Valproate
3. Lamotrigine
4. Phenytoin

Correct answer: 4. Phenytoin

Explanation: Phenytoin is not indicated in the treatment of absence seizures. Valproate and Ethosuximide are the first line drugs, clonazepam and lamotrigine are the second line drugs in treating absence seizures. Reference: Essentials of Medical Pharmacology By KD Tripathi, 5e page 378.